Chlamydia trachomatis false is -
1. Elementary body is metabolically active
2. It is biphasic
3. Reticulate body divides by binary fission
4. Inside the cell it evades phagolysosome

Correct answer: 1. Elementary body is metabolically active

Explanation: Chlamydia biphasic elementary and reticulate body
Elementary body is extracelluar, infectious form
Reticulate body is the replicating form, divides by binary fission and it is metabolically active
Chlamydia evades phagolysozome fusion, hence can survive intracellularly